Fowl smelling nasal discharge is seen in all except-
1. NasalMyiasis
2. Choanal atresia
3. Foreign body in nose
4. Rhinolith

Correct answer: 2. Choanal atresia

Explanation: Ans. is 'b' i.e., Choanal atresia Diseases with fowl smelling nasal discharge are:Nasal myiasisForeign body in noseRhinolitho In choanal atresia there is presence of nasal discharge without air bubbles.